A 20 year old woman presents with bilateral conductive deafness, palpable purpura on the legs and hemoptysis. Radiograph of the chest shows a thin-walled cavity in left lower zone. Investigation reveal total leukocyte count 12000/mm3, red cell casts in the urine and serum creatinine 3mg/dl.What is most probable diagnosis -
1. Henoch-Schonlein purpura
2. Polyarteritis nodosa
3. Wegner's granulomatosis
4. Disseminated

Correct answer: 3. Wegner's granulomatosis